M/C site of ureteric injury during hysterectomy:
1. Pelvic brin
2. Where it is crossed by uterine artery
3. Where it enters the bladder
4. Where it is over obturator vessels

Correct answer: 2. Where it is crossed by uterine artery

Explanation: Ans. is b, i.e. Where it is crossed by uterine arterySite of ureteric injury during hysterectomy1st M/C = where it is crossed by uterine artery2nd M/C = Near pelvic brim